Normal respiratory minute volume is
1. Tidal volume X respiratory Rate
2. Tidal volume/ Respiratory Rate
3. TLC/ Respiratory Rate
4. FRC/ Respiratory Rate

Correct answer: 1. Tidal volume X respiratory Rate

Explanation: Tidal volume X respiratory Rate